All of the following statements about cerebellar astrocytomas in paediatric age group is true, EXCEPT:
1. These are usually Low grade tumors
2. These tumors have a good prognosis
3. These are more commonly seen in the 1st and 2nd decades
4. These tumours are more common in females

Correct answer: 4. These tumours are more common in females

Explanation: Cerebellar Astrocytomas are equally common in males and females and it is a low grade tumor, classified as a WHO grade I tumor. It is most commonly develop during the first two decades of life. Ref: Nelson 18th Edition, Page 2130, 2131; Harrison 17th Edition, Page 2602, 2603, 2604